Discharging sinus is seen in -
1. Sporotrichosis
2. Cryp _ococcosis
3. Histoplasmosis
4. Mycetoma

Correct answer: 4. Mycetoma

Explanation: Ans. is 'd' i.e., Mycetoma . Mycetoma are chronic, slowly progressive infections of the subcutaneous tissue usually of the foot caused by a number of Actinomycetes and filamentous fungi. . The disease usually begins as a small subcutaneous swelling of the foot, which enlarges, burrowing into deeper tissues and tracking to the surface as multiple sinuses discharging viscid, seropurulent fluid containing granules.